A middle aged man presents with paraesthesia of hands and feet. Examination reveals presence of 'Mees' lines in the nails and rain drop type pigmentation in the hands. The most likely causative toxin for the above mentioned symptoms is:
1. Lead
2. Arsenic
3. Thallium
4. Mercury

Correct answer: 2. Arsenic

Explanation: CNS symptoms along with 'Aldrich-Mees lines' in the nails and rain drop type pigmentation in the hands suggests this case as chronic Arsenic poisoning. Ref: The Essentials of Forensic Medicine and Toxicology By K S Narayan Reddy, 27th Edition, Pages 473,475,476,478,482